Oath is defined under the section
1. 40 IPC
2. 44 IPC
3. 51 IPC
4. 178 IPC

Correct answer: 3. 51 IPC

Explanation: 40 IPC : defines Offence 44 IPC: Defines Injury 51 IPC: defines oath 178 C: Punishment for Refusing oath or affirmation when duly required by public servant to make it.